NOT a complication of pathological myopia among the following
1. Complicated cataract
2. Vitreous hemorrhage
3. Tractional Retinal detachment
4. Lacquer cracks

Correct answer: 3. Tractional Retinal detachment

Explanation: Rhegmatous Retinal detachment is a complication of pathological myopia, not Tractional Retinal detachment.